The shortest root on a maxillary first molar is:
1. Mesio-buccal
2. Disto-buccal
3. Lingual
4. All are of equal length

Correct answer: 2. Disto-buccal